Fetal cardiac activity is detected with Transvaginal USG as early as?
1. 6 weeks
2. 8 weeks
3. 10 weeks.
4. 12 weeks

Correct answer: 1. 6 weeks

Explanation: 6weeks REF: USG in Obstetrics & Gynecology by Callen 4th edition page 119-120 Fetal cardiac activity is detected as early as With Transvaginal USG 6 weeks of gestational age With Transabdominal USG